which of following statements are included in 2005 American Heart Association – a) Newborn CPR is applied from first hour after birth until the newborn leaves the hospitalb) Newborn CPR is applied from first hour after birth until first 24 hoursc) Child CPR guidelines for lay rescuer apply to children from 1 to 8 years of aged) Child CPR guidelines for healthcare providers apply to children from 1-8 years of agee)  Hospital paediatric advanced life support guideline for paediatric patient extend age to 16–18 years
1. acd
2. bde
3. ace
4. ade

Correct answer: 3. ace

Explanation: Age delineation according to AHA guidelines for CPR and ECC 

Differences in the etiology of cardiac arrest between child and adult victims necessitate some differences in the recommended resuscitation sequence for infant and child victims compared with the sequence used for adult victims. Because there is no single anatomic or physiologic characteristic that distinguishes a "child" victim from an "adult" victim and no scientific evidence that identifies a precise age to initiate adult rather than child CPR techniques, the ECC scientists made a consensus decision for age delineation that is based largely on practical criteria and ease of teaching.
In these 2005 guidelines, the recommendations for newborn CPR apply to newborns in the first hours after birth until the newborn leaves the hospital. Infant CPR guidelines apply to victims less than approximately 1 year of age.
Child CPR guidelines for the lay rescuer apply to children about 1 to 8 years of age, and adult guidelines for the lay rescuer apply to victims about 8 years of age and older. To simplify learning for lay rescuers retraining in CPR and AED apropos the 2005 guidelines, the same age divisions for children are used in the 2005 guidelines as in the ECC guidelines 2000.
Child CPR guidelines for healthcare providers apply to victims from about 1 year of age to the onset of adolescence or puberty (about 12 to 14 years of age) as defined by the presence of secondary sex characteristics. Hospitals (particularly children's hospitals) or pediatric intensive care units may choose to extend the use of Pediatric Advanced Life Support (PALS) guidelines to pediatric advanced of all ages (generally up to about 16 to 18 years of age) rather than use onset of puberty for the application of ACLS versus PALS guidelines.